A 9yr old boy presents with elevation in both PT and aPTT.What is the diagnosis?
1. Defect in extrinsic pathway
2. Defect in intrinsic pathway
3. Platelets function defect
4. Defect in common pathway

Correct answer: 4. Defect in common pathway

Explanation: Defect in extrinsic pathway causes elevation of PT Defect in intrinsic pathway causes elevation of aPTT Defect in common pathway cause elevation of both PT and aPTT. Platelet function defect causes elevation of BT.( ref Robbins 9th/119)